Which of the following statements is not true of local anesthetics?
1. The local anesthetic is required in the unionized form for penetrating the neuronal membrane
2. The local anesthetic approaches its receptor only from the intraneuronal face of the Na+ channel
3. The local anesthetic binds to its receptor mainly when the Na+ channel is in the resting state
4. The local anesthetic combines with its receptor in the ionized cationic form

Correct answer: 3. The local anesthetic binds to its receptor mainly when the Na+ channel is in the resting state